Glyconeogenesis is
1. Synthesis of glucose from non-carbohydrate sources
2. Synthesis of glycogen from glucose
3. Synthesis of glucose from glycerol
4. Synthesis of glycogen from non-carbohydrate sources

Correct answer: 4. Synthesis of glycogen from non-carbohydrate sources

Explanation: Glyconeogenesis Synthesis of glycogen from non-carbohydrate precursors This pathway is the same as gluconeogenesis, but the last step is different i.e. In glyconeogenesis, glucose-6-Phosphate directly enters glycogen synthesis. So glucose-6-phosphatase step is not required. Glycogenesis -Synthesis of glycogen from glucose. Glycogenolysis- Breakdown of glycogen to produce glucose. Gluconeogenesis- Synthesis of glucose from non-carbohydrate precursors.